Kirkland and orban knives are used for
1. Curettage
2. Gingivectomy
3. Root planning
4. Scaling

Correct answer: 2. Gingivectomy